The incubation period for polio is
1. 3 - 7 days
2. 7 - 14 days
3. 2 - 3 weeks
4. 1 - 2 years

Correct answer: 2. 7 - 14 days

Explanation: The incubation period of Polio is 7 to 14 days (Range 3-35 days)In 91-96% there is inapparent (subclinical) infectionIn 4-8% Abortive polio or minor illnessIn 1% Non-paralytic polioIn less than 1% paralytic polio occursPark 23e pg: 205